Suicidal tendencies seen in:
1. Depression
2. Substance abuse
3. Schizophrenia
4. All

Correct answer: 4. All

Explanation: A i.e. Depression; C i.e. Schizophrenia; B i.e. Substance abuse